What is myositis ossificans?
1. Worm calcification
2. Callus formation
3. Regeneration
4. Post traumatic ossification

Correct answer: 4. Post traumatic ossification

Explanation: Myositis ossificans refers to ossification within the muscle which occur when there is sufficient trauma to cause a hematoma that later heals in the manner of a fracture. The injury is usually a contusion and most commonly occur in the quadriceps of the thigh or triceps of the arm. Patients usually presents with local swelling, heat and extreme pain on the slightest motion of the adjacent joint. Treatment: Involves resting until local reaction subsides, followed by gentle active excercises. Surgery when indicated is usually done before 9 months to 1 year after injury. Ref: CURRENT Diagnosis & Treatment: Pediatrics, 20e, chapter 24